Intra-epithelial split is seen in :
1. Epidermolysis bullosa.
2. Bullous pemphigoid.
3. Pemphigus vulgaris.
4. All of the above.

Correct answer: 3. Pemphigus vulgaris.